A 35yr old female who was an Occasional drinker complained of Severe Pruritis that becomes more bothersome in evening. On examination, patient was noted to have icteric sclera. Lab tests revealed anti-mitochondrial antibodies. What is the possible diagnosis?
1. Primary sclerosing cholangitis
2. Xanthogranulomatous cholecystitis
3. Primary biliary cirrhosis
4. Alcoholic cirrhosis

Correct answer: 3. Primary biliary cirrhosis

Explanation: PBC- primary biliary cirrhosis Autoimmune disorder M/C in females Pathology Progressive destruction of intrahepatic bile ducts only Diagnostic appearance - florid duct lesion with lymphocytic infiltration and granulomatous inflammation Clinical features Pruritis precedes jaundiceQ Pruritis and fatigue - characteristic symptoms Diagnosis Anti-mitochondrial Ab - Can confirm diagnosis Investigation of choice - Biopsy Treatment Liver transplantation (severe pruritus & fatigue are indications for LT)